Induction agent of choice in day care surgery is:
1. Ketamine
2. propofol
3. Methohexitone
4. Thiopentone sodium

Correct answer: 2. propofol

Explanation: Quick induction (30sec) and rapid recovery(4min) are possible from a single dose. Also has anti emetic property. Due to rapid recovery preferred in day time cases. Effect of ketamine lasts for 10-15 min after a single injection. Thiopentone is neither a good analgesic nor muscle relaxant and duration of action is 4-7min From padmaja 4th edition Page no 195,194